New name of mental retardation according to American Association of Mental Retardation:-
1. Feeble mindedness
2. Madness
3. Intellectual disability
4. Mentally unstable

Correct answer: 3. Intellectual disability

Explanation: According to American association of mental retardation & DSM 5 Mental retardation is known as - intellectual disability According to ICD-11 - Disorder of intellectual development